Free gas in abdomen (under the diaphragm) can be best diagnosed by which X–ray –
1. Standing
2. Right lateral recumbent view
3. Left lateral recumbent view
4. Sitting position

Correct answer: 1. Standing

Explanation: The best view to see pneumoperitoneum is Chest X-ray (not abdominal X-ray) in upright position which detects air under the domes of diaphragm.